The cementoenamel junction is approximately at the level at which the root canal becomes
1. Twisted
2. Curved
3. Pulp chamber
4. Lateral canal

Correct answer: 3. Pulp chamber